Dapsone is used in -
1. Dermatitis herpetiformis
2. Pityriasis rosacea
3. Contact dermatitis
4. Oculocutaneous albinism

Correct answer: 1. Dermatitis herpetiformis

Explanation: Ans. is 'a' i.e., Dermatitis herpetiformis Dermatologic conditions in which dapsone is used:Dermatitis herpetiformisErythema elevatum diutinumPemphigusPemphigoidBullous lupus erythematosusAdverse effects of dapsoneo The most common adverse effect of dapsone is hemolytic anaemia (Patients with G-6-PP deficiency are more susceptible).o Second most common adverse effect is methemoglobinemia.o Other side effects are - Nausea, anorexia, headache, paresthesia, drug fever, mental symptoms, rashes, fixed drug eruption, hypermelanosis (Pigmentation), phototoxicity, exfoliative dermatitis, hepatitis, agranulocytosis, lepra reaction and sulfone syndrome, infectious mononucleosis like syndrome.